A 9 yr old child is found to be restless. He is hyperactive and his teacher complains that he does not listen to teaching in the class, disturbs other students and also shows less interest in playing. The likely diagnosis is:
1. Cerebral palsy
2. Attention deficit hyperkinetic child
3. Delirium
4. Mania

Correct answer: 2. Attention deficit hyperkinetic child

Explanation: This boy in the question is hyperactive and inattentive, which are features of a disorder called attention deficit disorder. It is a triad of impulsivity, inattention, and hyperactivity. Attention deficit disorder can be of 3 subtypes such as hyperactive-impulsive, inattentive, and combined. Boys have higher prevalence of hyperactive subtype and girls have inattentive subtype. Symptoms usually begins in early childhood but may diminish by ages between 10 and 25. Decline in hyperactivity occurs more quickly whereas impulsivity and inattentiveness often persist into adolescence and adulthood. ADHD is associated with other other psychiatric conditions such as mood disorder in 20% patients, conduct disorder in 20%, oppositional defiant disorder in 40%. Ref: CURRENT Diagnosis & Treatment: Pediatrics, 21e chapter 3.